Best Investigation of choice for a lesion of the temporal bone is which of the following?
1. X-ray
2. USG
3. CT
4. MRI

Correct answer: 3. CT

Explanation: CT scan is preferred over MRI to visualize the bony architecture. Thus any lesion in the temporal bone is characterised by a CT scan. The extent of osseous destruction brought about by the lesion is visualized in a multi-planar CT. Ref: Textbook of Neurosurgery By Prakash Narain Tandon, Ravi Ramamuhi; pages 365 - 368; Neurologic Differential Diagnosis By Marco Mumenthaler; pages 5 - 6.